Remnant cysts are typically located in which wall of vagina
1. Posterior wall
2. Antero-lateral wall
3. Lateral wall
4. Apex of vagina

Correct answer: 2. Antero-lateral wall

Explanation: Remnant cysts are typically located in antero-lateral wall of vagina.